Punishment for perjury IPC
1. 191
2. 197
3. 193
4. 199

Correct answer: 3. 193

Explanation: Ans. (C). 193Perjury:Perjury means giving willful false evidence by a witness while under oath (S.191, LP.CQ)The witness is liable to be prosecuted for perjury, and the imprisonment may extend to seven years (S. 193, LP.CQ).